A 56 year old man has painful weeping rashes over the upper eyelid and forehead for the last 2 days along with ipsilateral acute punctate keratopathy. About a year back, he had chemotherapy for Non-Hodgkin's lymphoma. There is no other abnormality. Which of the following is the most likely diagnosis?
1. Impetigo
2. Systemic Lupus Erythematosus
3. Herpes Zoster
4. Pyoderma gangrenosum

Correct answer: 3. Herpes Zoster

Explanation: C i.e. Herpes zoster